The active search for unrecognized disease or defect in apparently health people using rapidly applied tests or procedures is-
1. Case finding
2. Monitoring
3. Screening
4. Active surveillance

Correct answer: 3. Screening

Explanation: Ref:Parks 23rd edition pg 135 Also Refer table 1; difference between screening and diagnostic tests.